Which of the following muscle is not supplied by recurrent laryngeal nerve?
1. Post cricoarytenoid
2. Thyroarytenoid
3. Lateral cricoarytenoid
4. Cricothyroid

Correct answer: 4. Cricothyroid

Explanation: Muscles supplied by recurrent laryngeal nerve The recurrent laryngeal nerve (RLN) is a branch of the vagus nerve (cranial nerve X) that supplies all the intrinsic muscles of the larynx, with the exception of the cricothyroid muscles. There are two recurrent laryngeal nerves, right and left, in the human body.